Which of the following antiepileptic is also a free radical scavenger?
1. Levetiracetam
2. Topiramate
3. Zonisamide
4. Gabapentin

Correct answer: 3. Zonisamide

Explanation: Zonisamide is a Na+ channel blocker & also a free radical scavenger.